Which of the following nerve is responsible for the taste sensation of anterior two third of tongue?
1. Facial nerve
2. Glossopharyngeal nerve
3. Lingual nerve
4. Vagus nerve

Correct answer: 1. Facial nerve

Explanation: The chorda tympani branch of the facial nerve is responsible for carrying taste fibers from the anterior two thirds of the tongue and also provides secretory fibers to submandibular and sublingual salivary glands. The mandibular division of the trigeminal nerve (V3) provides sensory innervation for the anterior two-thirds of the tongue. The glossopharyngeal nerve provides both sensory innervation and taste sensation for the posterior third of the tongue.